C_C beta chemokines includes
1. Il_8
2. Eotaxin
3. Lymphotactin
4. Fractalkine

Correct answer: 2. Eotaxin

Explanation: Ref ,Robbins 8/e 62-63 ,7/e p71; 9/e p87 The eotaxins are a CC chemokine subfamily of eosinophil chemotactic proteins. In humans, there are three family members: CCL11 (eotaxin-1) CCL24 (eotaxin-2) CCL26 (eotaxin-3)